Immune complex mediated reaction?
1. Type 1
2. Type II
3. Type III
4. Type IV

Correct answer: 3. Type III

Explanation: Ans. is 'c' i.e., Type HI reactions Type III hypersensitivity Type III hypersensitivity reaction is antigen-antibody immune complex mediated that are deposited in postcapillary venules of various tissues with subsequent complement fixation. Immune complexes produce tissue damage mainly be eliciting inflammation Type III hypersensitivity may be of two types A. Systemic or generalized Immune complex disease (serum sickness) - It occurs in three phases :? Phase I - Formation of antigen - antibody immune - complex in the blood. Phase II - Traveling of immune complex through blood and deposition in various tissues. Phase III - Induction of inflammation by immune complex. Generally, common sites of deposition of immune complex incude Skin Joints Lungs Kidney Blood vessels B. Localized immune complex disease (Arthus reaction) Arthus reaction is a localized area of tisue necrosis resulting from acute immune - complex vasculitis, usually elicited in the skin.